Which of the following is not a cause of communicating hydrocephalus?
1. Choroid plexus papilloma
2. Vein of Galen malformation
3. Achondroplasia
4. Meningeal metastasis

Correct answer: 2. Vein of Galen malformation

Explanation: - Vein of Galen causes Obstructive or Non-communicating hydrocephalus. Causes: COMMUNICATING HYDROCEPHALUS NON-COMMUNICATING HYDROCEPHALUS C - Choroid plexus papilloma A - Achondroplasia M - Meningeal malignancy or metastasis P - Post hemorrhagic M - Mass lesion (ICSOL) A - Abscess A - Aqueductal stenosis A - Arnold Chiari malformation D - Dandy walker malformations H - Hematoma I - Infections (Toxoplasma, mumps, Neurocysticercosis) V - Vein of Galen malformations